The most effective antiemetic for controlling cisplatin induced vomiting is:
1. Prochlorperazine
2. Ondansetron
3. Metoclopramide
4. Aprepitant

Correct answer: 2. Ondansetron

Explanation: (Ref: KDT 6/e p646) 5HT3 antagonists like ondansetron, granisetron and topisetron are the agents of choice for chemotherapy induced vomiting.